Pneumatocele is commonest in:
1. Pneumococcal pneumonia
2. Staphylococcal pneumonia
3. H. influenzae pneumonia
4. Viral pneumonia

Correct answer: 2. Staphylococcal pneumonia

Explanation: Staphylococcal pneumonia